A characteristic infection of Nocardia Asteroides is-
1. Diarrhea
2. Secondary Dissemination to liver
3. Brain Abscess
4. Colonic Diverticulosis

Correct answer: 3. Brain Abscess